Hypochloremia, hypokalemia and alkalosis are seen in-
1. Hirschsprung's disease
2. Esophageal atresia
3. Congenital hypertrophic pyloric stenosis
4. Jejunal atresia

Correct answer: 3. Congenital hypertrophic pyloric stenosis

Explanation: Biochemical abnormality in congenital hypertrophic pyloric stenosis is a regular feature of AIIMS and AI examinations it has been repeated several times. The biochemical abnormalities seen are: Hypokalemia Hypochloremia Alkalosis and Paradoxical aciduria Ref : Schwartz 9/e p59